A five year old child presents to the emergency department with burns. The burn area corresponding to the size of his palm is equal to
1. 1% BSA
2. 5% BSA
3. 10% BSA
4. 20% BSA

Correct answer: 1. 1% BSA

Explanation: Estimation of body surface area (BSA) of burn
Rough estimate of body surface area of bum can be estimated by following rules.
Rule of Palm (Palmar method)

It can be used in Children as well as in adults.
It is used for small burns (<10% of BSA)
The palm of patients hand represents I% of BSA. Palm is the area of hand from wrist crease to the finger crease.
Entire burned hand represents 2.5% of BSA: 1/% for palm; 1% for dorsum of the hand (excluding fingers);0. 5% for the fingers

Rule of 9

It can be used in adults and children older than 14 years.
It is used for larger surface area burns.
Estimates the body surface area of an adult in multiples of 9.
An adult who has been burned, the percent of the body involved can be calculated as follows:
Head and Neck = 9%
Anterior chest = 9%
Anterior abdomen =9%
Upper back = 9%
Lower back = 9%
Right upper extremity (Anterior + Posterior) = 9%
Left upper extremity (Anterior + Posterior) = 9%
Right lower extensity, Anterior = 9%
Right lower extremity, Posterior = 9%
Left lower extremity, anterior = 9%
Left lower extremity, Posterior = 9%
Perenium= 1%
Percent of the burn in a child can be calculated as follows:
Head and neck = 9%
Anterior trunk =18%
Posterior trunk =18%
Upper extremity (Right) = 9%
Upper extremity (Left) = 9%
Lower extremity (Right) = 18%
Lower extremity (Left) =18%
Perenium = 1%